Mission Indradhanush is for:
1. Non - communicable diseases
2. Family planning
3. Safe water and sanitation
4. Universal immunization

Correct answer: 4. Universal immunization

Explanation: Mission Indradhanush-for 7 Preventable diseases Tb Polio Diptheria Pertusis Tetanus Hepatitis b Measles + Rota, MR, IPV, JE